Infective stage for mosquito in case of Plasmodium vivax is:
1. Gametocyte
2. Sporozites
3. Tropozoites
4. Merozoites

Correct answer: 1. Gametocyte

Explanation: Gametocyte